In extended supraomohyoid neck dissection, lymph node dissection is done upto:
1. 2
2. 3
3. 4
4. 5

Correct answer: 3. 4